Adult Polycystic kidney disease is inherited by
1. Autosomal dominant
2. Autosomal recessive
3. X linked
4. Mitochondrial

Correct answer: 1. Autosomal dominant

Explanation: Polycystic kidney disease (PKD or PCKD, also known as polycystic kidney syndrome) is a geneticdisorder in which the renal tubules become structurally abnormal, resulting in the development and growth of multiple cysts within thekidney.